'SEPS' is a procedure used for:
1. Veins
2. Arteries
3. Lymphatics
4. AV fistula

Correct answer: 1. Veins

Explanation: Ans is A i.e. Veins SEPS or Subfascial Endoscopic Perforator Surgery is endoscopic technique for management of chronic venous insufficiency. In this technique the incompetent perforating veins are ligated using subfascial endoscopic method. Incompetence of the perforating veins connecting the superficial and deep venous systems of the lower extremities has been implicated in the development of venous ulcers. The classic open technique described by Linton in 1938 for perforator vein ligation has a high incidence of wound complications and has largely been abandoned. In SEPS endoscope is inserted through the skin and the superficial fascia after inflating the subfascial space with CO2. The perforators are then identified and doubly clipped and divided